A boy has developed epistaxis. What is the treatment of choice
1. Digital pressure
2. Nasal packing
3. Cauterization of vessels
4. Surgical ligation

Correct answer: 1. Digital pressure

Explanation: Most of the time, bleeding occurs from the Little's area and can be controlled by pinching the nose with thumb and index finger for about 5 min. This will compress the vessels of the Little's area Ref: Dhingra 7e pg 199.